A patient undergoing cancer chemotherapy has an increase in urinary frequency with much discomfort. No specific findings are apparent on physical examination. Laboratory results include hematuria and mild leukopenia but no bacteria or crystalluria. If the symptoms experienced by the patient are drug related, the most likely cause is
1. cyclophosphamide
2. 5-FU
3. methotrexate
4. prednisone

Correct answer: 1. cyclophosphamide

Explanation: The symptoms are those of a mild case of hemorrhagic cystitis. Bladder irritation with hematuria is a fairly common complaint of patients treated with cyclophosphamide. It appears to be due to acrolein, a product formed when cyclophosphamide is bioactivated by liver P450 to form cytotoxic metabolites. Urinary tract problems may also occur with methotrexate from crystalluria due to its low water solubility.